Facial nerve passes through:
1. Foramen lacerum
2. Mastoid foramen
3. Stylomastoid foramen
4. Optic canal

Correct answer: 3. Stylomastoid foramen